Which is not a predisposing factor for carcinoma cervix?
1. Single child birth
2. Early coitus
3. Early child bearing
4. Early marriage

Correct answer: 1. Single child birth